Which of the following statement about ascites is true?
1. Hemorrhagic ascites is diagnosed when RBC count > 1,000/mm3
2. Spontaneous bacterial peritonitis is diagnosed when neutrophil count > 500/mm3
3. Large volume paracentesis is indicated in spontaneous bacterial peritonitis
4. USG can detect as little as 100 mL of peritoneal fluid

Correct answer: 4. USG can detect as little as 100 mL of peritoneal fluid

Explanation: The diagnosis of spontaneous bacterial peritonitis (SBP) is made when the fluid sample has an absolute neutrophil count >250/mL.Treatment is with a second-generation cephalosporin, with cefotaxime being the most commonly used antibiotic.Large volume paracentesis is not indicated in SBP.Hemorrhagic ascites was defined as an ascitic fluid red blood cell (RBC) count >=10,000/mm3Ref: Harrison's 18/e p2601